A psychiatrist is upset with one of his patients and only to realize that the patient reminded him of his depaed father. This is possibly called:
1. Transference
2. Counter transference
3. Projection
4. Rationalization

Correct answer: 2. Counter transference

Explanation: Countertransference Emotions and feelings generated in a professional towards the patient. This can be positive or negative. Most of the times, it is triggered off by resemblance with a significant past person or event.